All the following diseases are under surveillance by WHO for notification of National Health Authorities except
1. Louse-borne typhus fever
2. Relapsing fever
3. Paralytic polio
4. Tuberculosis

Correct answer: 4. Tuberculosis

Explanation: Diseases under WHO surveillance Polio Rabies Relapsing fever Influenza Salmonella Malaria Louse born typhus